A 40years old male always doubts his neighbor and fights with him without any reason. Rest behavior is normal. This can be due to?
1. Delusion of grandiose
2. Nihilistic delusion
3. Delusion of persecution
4. Delusion of infidelity

Correct answer: 3. Delusion of persecution

Explanation: Ans. is 'c' i.e., Delusion of persecution Persecutory delusions (paranoid)* This is the most common type of delusion. The patient feels that he is being persecuted against.* There is false belief that one is being harmed, threatened, cheated, poisoned, harassed or spied on or is a victim of conspiracy to damage his reputation.* The supposed persecutor of the patient may be people in the environment (e.g., members of family, neighbors, former friend) or may be political or religious groups.* These delusions occur in schizophrenia (especially paranoid, severe affective disorders (sever mania or severe depression), and organic brain syndrome.* Delusion of persecution may occur in the context of primary delusional experiences, auditory hallucinations, bodily hallucinations or experiences of passivity.